A 16-year-old girl with height 5inches present with primary amenorrhea and rising FSH . The histological finding most consistent with her conditions is
1. Marfan syndrome
2. Corpus luteal hemorrhage
3. Low oocyte in ovary
4. Pituitary Apoplexy

Correct answer: 3. Low oocyte in ovary

Explanation: Hypergonadotrophic Primary Amenorrhea
Causes

Abnormal sex chromosomes: 45,OX, Abnormal X
Normal sex chromosomes: 46 XX Pure gonadal dysgenesis, Swyer's syndrome, Savage syndrome

Characteristics

Gonadal failure
These women have streak ovaries with the absence of ovarian follicles
No estrogen production
Elevated levels of FSH
A progesterone challenge test is negative